Corkscrew shaped endomentrial glands is seen in:
1. Early proliferative phase
2. Late proliferative phase
3. Early secretory phase
4. Late secretory phase

Correct answer: 4. Late secretory phase

Explanation: Late secretory phase